Gene for myotonic dystrophy is coded on chromosome number :
1. 19
2. 20
3. 21
4. 24

Correct answer: 1. 19

Explanation: Answer is A (Chromosome 19) : 359. The disorder is transmitted by a mutation in an 'unstable trinucleotide repeat sequence' in a gene at 19q 133. Myotonia Dystrophica : It is the most common adult muscular dystrophy.Q Myotonic dystrophy is an autosomal dominant disorder. Q The disorder is transmitted by a mutation in an 'unstable trinucleotide repeat sequence' in a gene at 19q 133 Muscle atrophy selectively involves type I fibres only. Q (in 50% of cases) Myopathy in Myotonia is unique in the sense that it is typically distal in contrast to other myopathies which are mostly proximal. Q Myotonia usually appears by the age of 5 years Q,and causes a slow relaxation of hand grip following a forced voluntary closure.